Self mutilation is a feature of?
1. Von-Gogh syndrome
2. Catatonic schizophrenia
3. Paranoid schizophrenia
4. pfropfschizophrenia

Correct answer: 1. Von-Gogh syndrome

Explanation: Ans is 'a' i.e. Von-Gogh syndrome * Dramatic self mutilation occurring in schizophrenia has also been called Von-Gogh syndrome.About other options* Catatonic schizophrenia is characterized by marked disturbances of motor behavior.* Paranoid schizophrenia, the most common type, is characterized by Delusions of persecution, Delusions of grandeur, reference, control and double are also common as are the auditory hallucinations.* Schizophrenia when occurs in the presence of intellectual disability, is called pfropf schizophrenia.